Perception of normal sensory stimuli as painful is called
1. Hyperalgesia
2. Allodynia
3. Hyperpathia
4. Causalgia

Correct answer: 2. Allodynia

Explanation: B i.e. Allodynia